All of the following are features of mullerian agen- esis except:4
1. 46 XX karyotype
2. Normal breast development
3. Absent vagina
4. Ovarian agenesis

Correct answer: 4. Ovarian agenesis